Most common cause of passage of few drops of blood per rectum in a toddler:
1. Juvenile rectal polyp
2. Piles
3. Rectal ulcer
4. Adenomatoid polyposis coli

Correct answer: 1. Juvenile rectal polyp

Explanation: Ans. a. Juvenile rectal polyp (Ref: Sabiston 19/e p1342; Schwartz 9/e p1043; Bailey 25/e p1228; Schackelford 7/e p2030; Harrison 19/e p537, 18/e p313, 352; 17/e p250)Most common cause of passage of few drops of Mood per rectum in a toddler is Juvenile rectal polyp.Juvenile polypsJuvenile polyps are the MC type of colorectal hamartomasQ.Occur most commonly in children <5 years of ageQ.Up to 80% of juvenile polyps occur as a single lesion of the rectumQ.Typical symptoms are rectal bleeding, mucus discharge, diarrhea, and abdominal painQ.Also called retention polyps due to the inflammatory obstruction of the crypt necks that leads to cystic dilation of the mucus-filled glands.No increased risk of cancerQ.